All are “Water-Washed Diseases” except
1. Scabies
2. Trachoma
3. Conjunctivitis
4. Typhoid

Correct answer: 4. Typhoid